Occlusion of the LAD will lead to infarction of which area
1. Posterior part ofthe interventricular septum
2. Anterior wall of the left ventricle
3. Lateral part of the heart
4. Inferior surface of right ventricle

Correct answer: 2. Anterior wall of the left ventricle

Explanation: Left anterior descending coronary artery supplies major part of left ventricle. BD chaurasia volume1.6th edition.page no 264